The drug causing curare like effect are all, EXCEPT :
1. Chloramphenicol
2. Polymyxin
3. Tetracycline
4. Streptomycin

Correct answer: 1. Chloramphenicol